b-glucosidase deficiency causes -
1. Gaucher's disease
2. Niemann Pick disease
3. Krabbe's disease
4. Tay-Sach disease

Correct answer: 1. Gaucher's disease

Explanation: Ans. is 'a' i.e., Gaucher's disease o Gaucher's disease is due to deficiency of b-glucosidase (glucocerebrosidase).DiseaseEnzyme deficiencyLipid accumulatedTay-sach diseaseHexosaminidase AGM2 gangliosideSandoff diseaseHexosaminidase BGM2 gangliosideNiemann-Pick diseaseSphingomyelinaseSphingomyelineFarber's diseaseCeramidaseAcyl-sphingosine (ceramide)Fabry's diseasea-galactosidaseGlobotrisylceramideKrabbe's diseaseb-galactosidase (Galactosylceramidase)GalactosylceramideGaucher's diseaseb-glucosidase (glucocerebrosidase)GlucosylceramideMetachromatic leukodystrophyArylsulfatase A3-Sulfogalactosylceramide